. All of the following statements about the use of spironolactone in CHF are true except
1. It should be administered in low doses to prevent hyperkalemial
2. It affords prognostic benefit in severe heart failure over and above that afforded by ACE inhibitors
3. It helps to overcome the refractoriness to thiazides
4. It affords rapid symptomatic relief in CHF patients

Correct answer: 4. It affords rapid symptomatic relief in CHF patients

Explanation: (Ref KDT 6/e p507) Loop diuretics are used to provide rapid symptomatic relief whereas aldosterone antagonists decrease the mortality by reversing myocardial remodeling